Cardiac output during pregnancy is maximal at :
1. 32nd week
2. 36th week
3. 24th week
4. 12th week

Correct answer: 1. 32nd week

Explanation: 32nd week